Which cells produce surfactant in conducting part of the lung?
1. Goblet cells
2. Brush cells
3. Basal cells
4. Clara cells

Correct answer: 4. Clara cells

Explanation: Ans. (d) Clara cells(Ref: Robbins 9th/pg 670; 8th/pg 679)Club cells, also known as bronchiolar exocrine cells, originally known as Clara cells, are dome-shaped cells with short microvilli, found in the small airways (bronchioles) of the lungs, produce substances similar to surfactant.